Whipple triad is seen in:
1. Glucogonoma
2. Insulinoma
3. Gastrinoma
4. Ca pancreas

Correct answer: 2. Insulinoma

Explanation: Ans: b (Insulinoma) Ref: Bailey, 24th ed, p. 1131Whipple triad is the classic diagnostic criteria for insulinoma.Whipple triad- Signs & symptoms of hypoglycaemia during fasting.- Blood glucose below 2.8 mmol/ltr (50 mg/dl) during symptomatic episodes.- Relief of symptoms by administration of glucose.Insulinomass-cell endocrinal tumours of pancreasArise from whole pancreasSymptoms are due to excessive secretion of insulin causing hypoglycaemia.Most are solitary & benign.Only 10- 15% are malignant.LocalizationMore sensitive test is intraoperative USGHigh resolution CT & MRIEndoscopic USGSelective arteriographyTreatmentSurgical excision is treatment of choice.